Acetyl CoA carboxylase requires which vitamin for function:
1. Thiamin
2. Riboflavin
3. Biotin
4. Niacin

Correct answer: 3. Biotin

Explanation: Bicarbonate as a source of CO2 is required in the initial reaction for the carboxylation of acetyl-CoA to malonyl-CoA in the presence of ATP and acetyl-CoA carboxylase. Acetyl-CoA carboxylase has a requirement for the B vitamin biotin. The enzyme is a multienzyme protein containing a variable number of identical subunits, each containing biotin, biotin carboxylase, biotin carboxyl carrier protein, and transcarboxylase, as well as a regulatory allosteric site. Ref: Harper 28th edition, chapter 23.